Testicular tumor associated with high HCG level is?
1. Choriocarcinoma
2. Seminoma
3. Endodermal sinus tumour
4. All of the above

Correct answer: 1. Choriocarcinoma

Explanation: Ans. is 'a i.e., Choriocarcinoma Testicular tumorTumor markersSeminoma* Placental alkaline phosphatase, keratin* Classical seminomas are negative for HCG, but 7-15% may be positive for HCGEmbryonal carcinoma* HCG, AFPYolk sac tumor* AFP, a-1 antitrypsinChoriocarcinoma* HCG